Most common type of intracranial haemorrhage in boxers -
1. Intra ventricular
2. Extradural
3. Subdural
4. Cerebellar

Correct answer: 3. Subdural